Giant 'a' waves in JVP occur in all except:
1. Junctional rhythm
2. Pulmonary hypertension
3. Tricuspid regurgitation
4. Complete heart block

Correct answer: 3. Tricuspid regurgitation

Explanation: Answer is C (Tricuspid Regurgitation) Tricuspid stenosis (not Tricuspid regurgitation) is associated with large or 'a' giant waves. `a' waves in JVP: Are positive waves, due to distension produced by Right atrial contraction. Large 'a' waves indicate atrium is contracting against increased resistance. Large 'a' waves : Tricuspid stenosis Pulmonary stenosis Pulmonary hypertension Cannon 'a' waves : Regularly - During junctional rhythm Irregularly - Atrioventricular dissociation with ventricular tachycardia - Complete heart block Absent `a' waves : Atrial fibrillation